Monro Kellie doctrine used in?
1. Aortic injury
2. Cervical injury
3. Head injury
4. Pelvic injury

Correct answer: 3. Head injury

Explanation: ANSWER: (C) Head injuryREF: Schwartz 9th ed chapter 42, Sabiston 18th ed chapter 20, 24Monro Kellie doctrine states that the cranial vault is a rigid structure, and therefore, the total volume of the contents determines ICR The three normal contents of the cranial vault are brain tissue, blood, and CSF. Hence pressure inside the head must rise if any intracranial component increases (i.e., blood, brain, or cerebrospinal fluid) because the cranial vault is a rigid, nonexpansive structure. In patients with elevated 1CP, this small increase in blood volume may result in a sharp increase in ICP